PERT and critical path methods are employed in
1. Community education
2. Health planning
3. Management
4. Health survey

Correct answer: 3. Management

Explanation: PERT and CPM are part of network analysis, a management technique.